True about histoplama captsulatum is
1. Dimorphic fungus
2. Causative organism of moniliasis
3. Causative organism of valley fever
4. Capsulated

Correct answer: 1. Dimorphic fungus

Explanation: Moniliasis is caused by candida. Valley fever is caused by coccidioidomycosis. Histoplasma is a dimorphic fungus, but not capsulated. Ref: Textbook of Microbiology, Ananthanarayan and Paniker; 9th edition